Besides uncontrolled diabetes, ketone bodies are seen in which of the following conditions
1. Starvation
2. Dehydration
3. Hyperglycemia
4. Infections

Correct answer: 1. Starvation